Retention of urine in a pregnant women, retroverted uterus is seen at
1. 8-10 weeks
2. 12-16 weeks
3. 20-24 weeks
4. 28-32 weeks

Correct answer: 2. 12-16 weeks

Explanation: Retroverted gravid uterus - As a result of retention, the bladder gets distended and becomes an abdominal organ reaching' even up to umbilicus.
As pressure from the full bladder increases, small amounts of urine are passed involuntarily, but the bladder never empties entirely - paradoxical incontinence